Commonest tumour at inner canthus of eye -
1. Rodent ulcer
2. Dermoid cyst
3. Malignant melanoma
4. Buruli ulcer

Correct answer: 1. Rodent ulcer

Explanation: Ans. is 'a' i.e., Rodent ulcer